Steroids are contraindicated in all, EXCEPT:
1. Diabetes mellitus
2. Hypertension
3. Eczematous skin disease
4. Peptic ulcer disease

Correct answer: 3. Eczematous skin disease